The primary role of chaperones is to help in:
1. Protein synthesis.
2. Protein degradation
3. Protein denaturation
4. Protein folding.

Correct answer: 4. Protein folding.

Explanation: Ans. D. Protein foldingChaperones -a. Are the protein that prevent faulty folding and unproductive interactions of other proteinsb. play a role in the assembly or proper folding of other proteins.c. ie. prevent wrong folding and allows folding, only in the correct direction.d. They help in the assembly of the tertiary and quantimetry structure of proteins.e. They are not part of the mature protein, and they have ATPase activity.Some properties of chaperone proteinsPresent in a wide range of species from bacteria to humans.a. Many are so called heat shock protein (Hsp)b. Some are inducible by conditions that cause unfolding of newly synthesized protein (eg. |temp., andc. various chemicals)d. They bind to predominantly hydrophobic regions of unfolded and aggregated proteins.e. They act in part as a quality control or, editing mechanism. For detecting mis folded or otherwise defective proteins.f. Most chaperons show associated ATPase activity, with ATP or ADP being involved in the protein-g. chaperone interactionh. Found in various cellular components such as, cytosol, mitochondria and the lumen of the endoplasmic reticulum.